Radiological features of scleroderma are A/E:
1. Diffuse periosteal reaction
2. Esophageal dysmotality
3. Erosion of tip of phalynx
4. Lung nodules

Correct answer: 1. Diffuse periosteal reaction

Explanation: A i.e. Diffuse periosteal reaction